According to the two-state receptor theory, which of the following statements BEST explain the term "agonists"? They have
1. Strong affinity for receptor in active state (Ra)
2. Strong affinity for receptor in inactive state (Ri)
3. Equal affinity for Ra and Ri
4. Slightly more affinity for Ra than Ri

Correct answer: 1. Strong affinity for receptor in active state (Ra)

Explanation: In to state receptor theory, agonists and inverse agonists are thought to have a selective binding affinity for the pre-existing resting and active states